Increased LDH in Aqueous Humor suggests a diagnosis of:
1. Galactosemia
2. Retinoblastoma
3. Glaucoma
4. Gyrate atrophy

Correct answer: 2. Retinoblastoma

Explanation: The activity of Lactate Dehydrogenase (LDH) is greater in aqueous humour than in serum in patients with retinoblastoma. The aqueous /plasma ratio of LDH is greater than 1.50 in pateints with retinoblastoma and less than 0.6 in other ocular condition. The reason for this increase may be attributed to the necrotic nature of retinoblastoma, which allows more cytosol enzymes (LDH) to reach aqueous. Ref: Textbook of Ophthalmology By Sunita Agarwal, Athiya Agarwal, Vol 1, 2002, Page 65; Clinical Ophthalmology: A Systemic Approach By Jack J Kansk, Brad Bowling, 7th Edition, Page 2005